Mode of contraception that should be avoided in epilepsy is
1. Oral contraceptive pills
2. Condoms
3. Intrauterine contraceptive devises
4. Post-coital pills

Correct answer: 1. Oral contraceptive pills

Explanation: Antiepileptic drugs such as phenytoin,carbamazepine,phenobarbitone are enzyme inducers which when used with oral contraceptives can cause its failure. (Ref.Essentials of medical pharmacology TD Tripathi 7th edition Page no.326)